True about delirium are all except
1. Preserved attention
2. Disturbed sleep
3. Disorientation
4. Hallucination

Correct answer: 1. Preserved attention

Explanation: Delirium is characterized by an acute decline in both the level of consciousness and cognition with particular impairment in attention. A life threatening, yet potentially reversible disorder of the central nervous system (CNS), delirium often involves perceptual disturbances, abnormal psychomotor activity, and sleep cycle impairment. Reference: Kaplan & Sadock's Synopsis of Psychiatry: Behavioral Sciences/Clinical Psychiatry, 11th Edition, page 697.